In the permanent dentition, earliest radiographic changes noted after chronic pulpal infection is:
1. Root resorption.
2. PDL widening.
3. Changes in bony furcation area.
4. All of the above.

Correct answer: 2. PDL widening.

Explanation: In primary molar teeth, earliest radiographic change is in the form of a furcal radiolucency, bone loss or root resorption, depending on the chronicity of the infection.
In permanent teeth, earliest change is widening of PL.